Which of the following is FALSE regarding Kishori Shakti Yojana?
1. Targets pregnant woman
2. Targets girls in the age group 11 - 18 year
3. It addresses the needs of literacy and numerical skills
4. It addresses the nutritional needs

Correct answer: 1. Targets pregnant woman

Explanation: It is a scheme for adolescent girls and is being implemented using the ICDS infrastructure. It targets girls between 11 - 18 years of age. It addresses their needs of self development, nutrition and health state's, literacy and numerical skills, vocational skills etc. Ref: Park, Edition 21, Page - 545.